QRS complex is due to
1. Ventricular repolarization
2. Atrial depolarization
3. Conduction through AV node
4. Ventricular depolarization

Correct answer: 4. Ventricular depolarization

Explanation: P wave is primarily produced by atrial depolarization, the QRS complex is dominated by ventricular depolarization, and the T wave by ventricular repolarization. The U wave is an inconstant finding that may be due to ventricular myocytes with long action potentials. Ref: Ganong's Review of medical physiology 25th edition. Page: 522